False about lacerated wound is :
1. Profuse hemorrhage
2. Vessels crushed
3. Hair bulb damaged
4. Irregular margins

Correct answer: 1. Profuse hemorrhage

Explanation: Laceration - is the tearing of skin or muscles or mucous membrane caused by a shearing or a crushing force, and produced by application of a blunt force to a broad area of the body. - If the blunt force produces extensive bruising and laceration of deeper tissue, it is called crush injury. Features : Margins -Ragged, irregular and uneven Site -most commonly over bony prominences Bruising and abrasion - is seen around the margin Hair bulbs - are crushed Hemorrhage - is less, because the arteries are crushed and torn irregularly , they retract and blood clots readily